Features like hypogonadism, dwarfism, loss of hair, pigmentation and ulcers of skin and decreased immunity are associated with deficiency of:
1. Iron
2. Zinc
3. Iodine
4. Copper

Correct answer: 2. Zinc

Explanation: Ans. B: ZincTrace elements are defined as elements found in tissues in minute amounts. These are believed to be essential for life. In humans:Iron deficiency causes anemiaCobalt is part of the vitamin B12 molecule, and vitamin B12 deficiency leads to megaloblastic anemiaIodine deficiency causes thyroid disordersZinc deficiency causes skin ulcers, depressed immune responses, and hypogonadal dwarfism.Copper deficiency causes anemia and changes in ossification.Chromium deficiency causes insulin resistance.Fluorine deficiency increases the incidence of dental caries.